The only abductor of vocal cord is
1. Posterior cricoarytenoid
2. Lateral cricoarytenoid
3. Interarytenoid
4. Cricothyroid

Correct answer: 1. Posterior cricoarytenoid

Explanation: Ans. a (Posterior cricoarytenoid) (Ref. Diseases of ENT by PL Dhingra 2nd ed., 337)The posterior cricoarytenoid is the only true abductor of the vocal folds and is principally responsible for control of the glottic airway.ActionMusclesAbductor of Vocal cord-Posterior cricoarytenoidAdductor of Vocal cord-Lateral cricoarytenoid, Inter-arytenoid, Cricothyroid, ThyroarytenoidTensor of Vocal cord -Cricothyroid, VocalisOpening of laryngeal inlet -ThyroepiglotticusClosing of laryngeal inlet-Interarytenoid, AryepiglotticusAlso Know:Type of thyroplastyMeaningUseIMedialization of vocal cordCombined (RLN and superior laryngeal N) palsyIILateralization of vocal cordBilateral RLN paralysis to improve airwayIIIShortening of Vocal cordFemale -male voice (For androphonia)IVLengthening of Vocal cordMale -female voice. Also used when vocal cord is lax.